A bacterial disease that has been associated with the 3 "Rs" i.e. rats, ricefields, and rainfall is-
1. Leptospirosis
2. Plague
3. Melioidosis
4. Rodent - bite fever

Correct answer: 1. Leptospirosis